Morgagnian cataract is a type of:
1. Hypermature cataract
2. Immature cataract
3. Nuclear cataract
4. Congenital cataract

Correct answer: 1. Hypermature cataract

Explanation: Ans: a (Hypermature cataract) Ref:AK KhURANA, 4th ed, .p 177When a mature cataract is left in situ the stage of hypermaturity sets in. It can occur in any of the two forms1. Morgagnian hypermature cataract2. Sclerotic type hypermature cataractMorgagnian typeSclerotic typeWhole cortex liquefiesLens converted into a bag of milky fluidNucleus settles at the bottom, altering its position with change in position of the headCortex disintegratesLens shrunken due to leakage of waterAC becomes deepIris becomes tremulous (iridodonesis) Remember:1. Chalcosis,Wilson's disease,Foreign body eye}-- Sunflower cataract2. Diabetes mellitus -- Snow storm!snowflake3. Galactosemia -- Oil drop cataract4. Myotonic dystrophy -- Christmas tree pattern5. Complicated cataract -- Polychromatic lusture, bread crumb appearance6. Atopic dermatitis -- Shield cataract7. Trauma -- Rosette shaped, Voissius ring